Superficial branch of ulnal nerve supplies to the following muscle
1. Adductor pollicis
2. Palmaris brevis
3. Abductor digit minimi
4. Opponens digiti mini

Correct answer: 2. Palmaris brevis

Explanation: Superficial branch of ulnar nerve supplies the palmaris brevis muscle and divides into 2 digital branches for the medial 1 1/2 digits . Adductor pollicis, opponens digiti minimi and abductor digiti minimi is supplied by the deep branch of ulnar nerve. Ref - BD Chaurasia 7th edition Page no: 124